If the molar percentage of guanine in a human DNA is 30%, what is the molar percentage of adenine in that molecule?
1. 10%.
2. 20%.
3. 30%.
4. 40%.

Correct answer: 2. 20%.

Explanation: Guanine base pairs with cytosine which, on a molar basis, will also equal 30% of the DNA. If guanine and cytosine constitute a total of 60% of DNA, the remaining percentage (40%) must be equally divided between the base pairs of adenine and thymine (20% + 20%).